In a case of Dysgerminoma of ovary one of the following tumor markers is likely to be raised;
1. Serum HCG
2. Semm alpha fetoprotein
3. Serum lactic dehydrogenase
4. Semminhibin

Correct answer: 3. Serum lactic dehydrogenase

Explanation: - dysgerminoma is the most common among the malignant germ cell tumors accounting for 40%. - tumors markers like placental alkaline phosphatase and lactic dehydrogenase may be elevated in dysgerminoma. Reference : textbook of gynaecology Sheila balakrishnan, 2nd edition, pg no: 283